A sinus associated with a periapical pathology requires:
1. Broad spectrum antibiotics
2. RCT with excision of sinus
3. RCT with Periapical curettage
4. RCT with no treatment for sinus

Correct answer: 4. RCT with no treatment for sinus